Maximum dose of isotretinoin should not exceed
1. 30-60mg/kg
2. 60-90mg/kg
3. 90-120mg/kg
4. 120-150mg/kg

Correct answer: 4. 120-150mg/kg

Explanation: Isotretinoin, also known as 13-cis-retinoic acid (and colloquially referred to by its former brand name Accutane or Roaccutane), is a medication primarily used to treat severe acne. Rarely, it is also used to prevent certain skin cancers (squamous-cell carcinoma), and in the treatment of other cancers. It is used to treat harlequin-type ichthyosis, a usually lethal skin disease, and lamellar ichthyosis. It is a retinoid, meaning it is related to vitamin A, and is found in small quantities naturally in the body. Its isomer, tretinoin, is also an acne drug Cumulative dosing of isotretinoin has followed a reference range of 120 to 150 mg/kg Ref Harrison20th edition pg 1321